Fixed performance device is –
1. Ventury mask
2. Nasal cannula
3. Simple mask
4. Non rebreathing mask

Correct answer: 1. Ventury mask

Explanation: Ventimask (venturi mask) is a fixed performance (high flow) oxygen delivery device.
Nasal cannula, non-rebreathing mask (Hudson mask) and simple mask are variable performance (low flow) devices.